Which of the following is a selective media for Vibrio cholerae?
1. TCBS medium- Thiosulfate, Citrate, Bile salt and Sucrose
2. Thayer main medium
3. Skirrow medium
4. Ceftriaxone broth

Correct answer: 1. TCBS medium- Thiosulfate, Citrate, Bile salt and Sucrose

Explanation: Vibrios are curved, Gram-negative rods commonly found in saltwater. Cells may be linked end to end, forming S shapes and spirals. They are highly motile with a single polar flagellum, non-spore-forming, and oxidase-positive, and they can grow under aerobic or anaerobic conditions. The cell envelope structure is similar to that of other Gram-negative bacteria. Vibrio cholerae is the prototype cause of a water-loss diarrhea called cholera. Cholera is limited to O1 and O139 serotypes, Serotype O139 is encapsulated. The organism grows on common clinical laboratory media such as blood agar and MacConkey agar, but its isolation is enhanced by a selective medium (thiosulfate-citrate-bile salt-sucrose agar). TCBS Agar is highly selective for the isolation of V. cholerae and V. parahaemolyticus as well as other vibrios. Also Know: Typical colonial morphology on TCBS agar: V.cholerae -- Large Yellow colonies V.Parahaemolyticus -- Colonies with blue to green centers V.alginolyticus -- Large yellow mucoid colonies Ref: Ray C.G., Ryan K.J. (2010). Chapter 32. Vibrio, Campylobacter, and Helicobacter. In C.G. Ray, K.J. Ryan (Eds), Sherris Medical Microbiology, 5e.